All are TRUE regarding filariasis except -
1. Man is an intermediate host
2. Caused by wuchereria bancrofti
3. Involves lymphatic system
4. DEC is used in treatment

Correct answer: 1. Man is an intermediate host

Explanation: Filariasis:- Causative agent- W.bancrofti, B.malayi and B.timori. Man is definitive host. Mosquito is the intermediate host. Infective stage- microfilaria. The maximum density of microfilaria in blood is reported between 10 pm-2am. Treatment- DEC. Filarial control in community. {Reference: park's textbook of preventive and social medicine, 23rd edition, pg no.274}